A 6-year-old child has an accident and had fracture elbow, after 4 years presented with tingling and numbness in the ulnar side of finger, fracture is:
1. Supracondylar fracture humerus
2. Lateral condylar fracture humerus
3. Olecranon fracture
4. Dislocation of elbow

Correct answer: 2. Lateral condylar fracture humerus

Explanation: (b) Dislocation of elbow- Fracture elbow with tingling subsequently after few years--"Tardy ulnar nerve palsy". Most common cause is fracture lateral condyle humerus.